Harlequins Skin change in the newborn is seen in -
1. Autonomic dysfunction
2. Icthyosis
3. Septicemia
4. Polycythemia

Correct answer: 1. Autonomic dysfunction

Explanation: Ans. is 'a' i.e., Autonomic dysfunction Harlequin color change o This rare but dramatic vascular event occurs in immediate newborn period and is most common in low birth weight infants. o If reflects an imbalance in the autonomic vascular regulatory mechanism. o When the infant is placed on the side, the body is bisected longitudinally into pale upper half and a deep red dependent half. Note - The fetus in ichthyosis (option b) appears grostesque and the appearance is called harlequin fetus.